Celiac sprue is associated with ?
1. HLA DQ 1
2. HLA DQ2
3. HLA DQ3
4. HLA DQ4

Correct answer: 2. HLA DQ2

Explanation: Ans. is 'b' i.e., HLA DQ2